Oval bulging terminal spores are seen in
1. Clostridium tertium
2. Clostridium welchii
3. Clostridium perfringes
4. Clostridium histolyticum

Correct answer: 1. Clostridium tertium

Explanation: Clostridium tertium produces oval and terminal spores. It resembles tennis racket Reference: Textbook of Microbiology; Anathanarayan and paniker's; 10th edition; Page no: 258